Rapid antigen test for meningitis organisms in a child can be done on the following specimens EXCEPT-
1. Blood
2. CSF
3. Urine
4. Throat swab

Correct answer: 4. Throat swab

Explanation: Ans. is 'd' i.e., Throat swab All books have mentioned CSF as a specimen for the detection of antigen. o No book has mentioned urine or blood. o But, amongst the given options, best answer is throat swab because other three are body fluids in which antigens can be detected.